According to Universal system the primary right central incisor is coded as:
1. A
2. F
3. E
4. O

Correct answer: 3. E